Which of the following causes decrease in BP
1. Thromboxane A2
2. Vasopressin
3. NO
4. PGF2

Correct answer: 3. NO

Explanation: NOSubstances which cause vasodilatation can cause fall in BP.Substances which cause vasoconstriction can cause a rise in BP.Among the given options only NO (nitric acid) is vasodilator (causes fall in BP). Other three options cause vasoconstriction (cause rise in BP).